Large bilateral painless effusions of the knees occurring in late congenital syphilis in patients between ages 8 to 18 are designated as
1. Clutton's joints
2. Ramsey's joints
3. Charcot's joints
4. Mercer's joints

Correct answer: 1. Clutton's joints